Costen's syndrome refers to neurological pain associated with?
1. Sphenopalatine ganglion
2. Temporomandibular joint
3. Glossopharyngeal nerve
4. Lingual nerve

Correct answer: 2. Temporomandibular joint

Explanation: Temporomandibular joint REF: Dhingra's ENT P-400, Cawson's essentials of oral pathology and oral medicine By R. A. Cawson, E. W. Odell page. 199 "Costen's syndrome is abnormality of temporomandibular joint due to defective bite. It is characterized by otalgia, feeling of blocked ear, tinnitus and sometimes vertigo. Pain also radiates to frontal, parietal and occipital region" "Costen's syndrome is an antiquated term applies to headache, ear symptoms (otalgia, tinnitus) and burning pain in tongue and throat and was ascribed to over closure causing excessive backward movement of head of condyle"